The chances of acquiring HIV infection following needle prick is:
1. 0.30%
2. 3-0%
3. 0-30%
4. 0.00%

Correct answer: 1. 0.30%

Explanation: Ans. a. 0.3%